21 Year old female presented with aortic arch aneurysm she underwent resection and the specimen was sent to histopathological examination. It showed all three layers were involved and giant cells were present. What is the probable diagnosis -
1. Tubercular aortitis
2. Wegeners granulomatosis
3. Giant cell arteritis
4. Nonspecific aortoarteritis

Correct answer: 4. Nonspecific aortoarteritis